Exclusive breastfeeding is advised till what age?
1. 3 months
2. 6 months
3. 9 months
4. 10 months

Correct answer: 2. 6 months

Explanation: Exclusive breastfeeding advised for 4-6months of age.(Refer: OP Ghai's Textbook of Pediatrics, 8th edition, pg no. 60, 122)